Urachus fistula is :
1. Patent allantois
2. Ectopic hernia
3. Patent vitello-intestinal tract
4. Meckel's diveicum

Correct answer: 1. Patent allantois

Explanation: A i.e. Patent allantoisUrorectal septum separates cloaca into (anterior) primitive urogenital sinus and (posterior) primitive anorectal canalQ. Urachzis fistula develops from patent allantoisQ.